In G6PD deficiency hemolysis can be caused by all except -
1. Chloroquine
2. Primaquine
3. Quinine
4. Penicillin

Correct answer: 4. Penicillin

Explanation: Ans. is 'd' i.e., Penicillin o Among antimalarial drugs, primaquine, quinine and occasionally chloroquine can cause hemolytic anemia in G6PD deficiency.o But, primaquine has the highest potential to cause hemolytic anemia in patients with G6PD deficiency and, the patients with G6PD deficiency are highly senstive to primaquine,o The hemolytic potential in G6PD deficiency patients -Primaquine (maximum) > Quinine > Chloroquine (rare).Drugs causing hemolytic Anaemia in G-6-PD deficiencyo Aminosalicylic acido Nalidixic acido Sulfonamides (Sulfamethoxazole)o Antimalarials - Primaquine,Quinineo Nitrofurantoino Analgesics - Aspirin, Acetanilido Phenacetino Vitamin K (water soluble form)o Chloramphenicolo Probenecido Methylene blueo Cotrimoxazoleo Procainamideo Niridazole - Phenazopyridineo Dapsoneo Quinidineo Doxorubicin